Small intestine and colon are lined by
1. Simple squamous epithelium
2. Simple cuboidal epithelium
3. Simple columnar epithelium
4. Stratified squamous epithelium

Correct answer: 3. Simple columnar epithelium